Which of the following is/are extracellular matrix protein:
1. Collagen
2. Laminin
3. Fibronectin
4. All

Correct answer: 4. All

Explanation: A, B, C i.e. Collagen, Laminin, Fibronectin